Which of the following treatment options are available for Division–b bone
1. Modification into division A bone by augmentation
2. Use of narrow diameter implants
3. Modification to other division by osteoplasty
4. All of the above

Correct answer: 4. All of the above

Explanation: Three treatment options are available for the Division B edentulous ridge: 

Modify the existing Division B ridge to another division by osteoplasty, to permit the placement of root-form implants 4 mm or greater in width. 
Insert a narrow Division B root-form implant. 
Modify the existing Division B bone into Division A by augmentation.